A 43-year-old man with chronic hepatitis and liver cirrhosis is admitted with upper GI bleeding. He has marked ascites and shows multiple telangiectasias, liver palmar erythema, and clubbing. A diagnosis of bleeding esophageal varices secondary to portal hypertension is made. Portal pressure is considered elevated when it is above which of the following?
1. 0.15 mm Hg
2. 1.5 mm Hg
3. 12 mm Hg
4. 40 mm Hg

Correct answer: 3. 12 mm Hg

Explanation: Portal hypertension is suspected clinically if esophageal varices are detected, hypersplenism occurs, or ascites develop. Normal portal venous pressure is 5-10 mm Hg. Pressure may be measured indirectly by using hepatic venous wedge pressure (occlusive hepatic wedge pressure). About two-thirds of patients with portal hypertension will develop varices of which one-third will bleed.